Lack of Leucocyte adhesion molecules (LAM) is associated with -
1. Delayed closure of umblical cord
2. Normal chemotaxis
3. Compliment opsinization
4. Neutropenia

Correct answer: 1. Delayed closure of umblical cord